All are autosomal recessive except: (Repeat)
1. Haemochromatosis
2. Sickle cell anaemia
3. Friederich ataxia
4. B. Huntington's chorea

Correct answer: 4. B. Huntington's chorea

Explanation: Ans: D (Huntington's chorea) Ref: Harrison's Principles of Internal Medicine, 18th edition, page 3148Explanation: (See the following table)